Which of the following is not an antioxidant
1. Beta carotene
2. Vit C
3. Vit E
4. Vit B1

Correct answer: 4. Vit B1

Explanation: Antioxidant vitamins are beta carotene, vitamin A, vitamin C and vitamin E.